Gothic arch tracing:
1. Intraoral tracing device
2. Extraoral tracing device
3. Records centric relation and the movements of mandible in horizontal plane
4. Records centric occlusion and the movements of mandible in vertical plane

Correct answer: 3. Records centric relation and the movements of mandible in horizontal plane

Explanation: Gothic arch tracing (arrowhead tracing) is a graphical method of recording centric relation in a horizontal plane. It can be done using intraoral or extraoral tracers.